True statement about dezocine is:
1. It is slower acting than morphine
2. It is less potent than morphine
3. It acts GABA receptors
4. It doesn't increase histamine release

Correct answer: 4. It doesn't increase histamine release

Explanation: Ref: Goodman and Gilman 10/e p602 *Dezocine is slightly more potent and faster acting opioid than morphine with a similar duration of action. It is a partial agonist antagonist opioid. *It is active at u receptors and side effect are similar to those of morphine. *Dezocine doesn't increase plasma histamine and produces less hypotension than morphine or pentazocine. *Dezocine is effective for moderate to severe pain but can cause myocardial depression.